Measles stored at PHC at what temperature?
1. 0degC
2. 2-8degC
3. 20degC
4. Room temperature

Correct answer: 2. 2-8degC

Explanation: ANSWER: (B) 2-8degCREF: APPENDIX-46 below TYPES OF VACCINE & IMMUNIZATION APPENDIX - 46Types of VaccineTypeContentExamplesKilled vaccineskilled, but previously virulent, microorganisms that have been destroyed with chemicals or heat.Avian Flu vaccine; developed by Reverse Genetics techniques. Reverse genetics' is an approach to discovering the function of a gene by analyzing the phenotypic effects of specific gene sequences obtained by DNA sequencing. This investigative process proceeds in the opposite direction of so- called forward genetic screens of classical genetics. Simply put, while forward genetics seeks to find the genetic basis of a phenotype or trait, reverse genetics seeks to find what phenotypes arise as a result of particular genes.